Phospho-dephosphorylation of phosphofructokinase and fructose 1, 6, biphosphatase by fructose 2, 6,biphosphate regulation is seen in
1. Brain
2. Liver
3. Adrenal cortex
4. RBC

Correct answer: 2. Liver

Explanation: Fructose 2, 6-biphosphate has unique role in regulation of glycolysis and gluconeogenesis in liver.